Felon is:
1. Pulp space infection
2. Herpetic lesion of hand
3. Fungal infection of hand
4. Marjolin’s ulcer involving hand

Correct answer: 1. Pulp space infection

Explanation: Felon (Pulp space infection)
a. Pus trapped between fibrous septae, which bind specialized fingertip skin to underlying bone with infection of underlying bone also.
b. Severe pain in finger pulp occurs.
c. An abscess drained through oblique in vision.